Content of superficial perineal pouch ?
1. Sphincter urethrae
2. Deep transverse perinei
3. Bulbospongiosus
4. Artery of penis

Correct answer: 3. Bulbospongiosus

Explanation: Bulbospongiosus